The most common cause of epididymitis is
1. Gonococcal infection
2. Chlamydia infection
3. Proteus infection
4. Tubercular infection

Correct answer: 2. Chlamydia infection

Explanation: Epididymitis is most common in young men ages 19 to 35. Chlamydia is the most common cause in sexually active men younger than 35 years (accounting for up to 50% of cases). Infections with urinary coliforms (eg, E coli, Pseudomonas species, Proteus species, Klebsiella species) are the most common cause in children and in men older than 35 years. Reference : page 1383 Bailey and Love's short practice of surgery 25th edition